Spherical theory of articulator was given by:
1. R.E. Hall
2. Monsoon
3. WGA Bonwill
4. House

Correct answer: 2. Monsoon